Which of the following part is NOT included in hypopharynx :
1. pyriform sinus
2. Post cricoid region
3. Anterior pharyngeal wall
4. Posterior pharyngeal wall

Correct answer: 3. Anterior pharyngeal wall

Explanation: Hypopharynx is the lowest part of the pharynx and lies behind and partly on the sides of the larynx. Its superior limit is the plane passing from the body of hyoid bone to the posterior pharyngeal wall, while the inferior limit is lower border of cricoid cartilage where hypopharynx becomes continuous with oesophagus. Hypopharynx lies opposite the third, fourth, fifth, sixth cervical vertebrae. Clinically it is subdivided into three regions--the pyriform sinus, post-cricoid region and the posterior pharyngeal wall. Ref: Dhingra 7e pg 272.